Which of the following head and neck tumor has worst prognosis?
1. Adenoid cystic carcinoma
2. Acinic cell carcinoma
3. Cystadenolymphoma
4. Mucoepidermoid carcinoma

Correct answer: 1. Adenoid cystic carcinoma

Explanation: Ans. is 'a' i.e., Adenoid cystic carcinoma "Adenoid cystic carcinoma has been described as one of the most biologically aggressive and destructive malignant neoplasms, presenting a tendency for local recurrance and late distant metastasis throughout the course of disease." o The adenoid cystic carcinoma, adenocarcinoma, squamous cell carcinoma and undifferentiated carcinoma are all agggressive malignant tumors that carry a poor prognosis regardless of treatment. o The acinic cell carcinoma and the mucoepidermoid carcinoma, although undoubtedly malignant tumors with a potential for local invasion and metastatic spread, are frequently very low grade histologically and do not require the radical treatment needed for more aggressive tumors. o Cysadenolymphoma (Warthin's tumor) is a benign tumor.